The commonest mode of inheritance of Von Willebrand's disease :
1. Codominant
2. Autosomal recessive
3. Autosomal dominant
4. X-linked recessive

Correct answer: 3. Autosomal dominant

Explanation: Answer is C (Autosomal dominant) There are 3 major forms of Von WilleBrand's disease and with one exception i.e. type III all forms are inherited as autosomal dominant trait- Harrison 16th/676 Von WilleBrand's disease is the most common hereditary coagulation disorder characterized by a quantitative or qualitative defect in Von Willebrand's factor Factor VIII circulates in blood as a complex with vWF Property VWF Factor VIII Gene Located on ()chromosome XII Located on (-2 X chromosome Inheritance Autosomal dominant Q Sex linked () Synthesis Endothelial cells. megakaryocytes platelets (not in liver cells) (2 In liver cells (-) Function Facilitate the adhesion of platelets to subendothelial collagen V. W. disease Activation of factor X in coagulation cascade. Hemophillia Disease